The "angry back" phenomenon is related to ONE of the following:
1. Patch test
2. Prick test
3. RAST
4. Desensitization

Correct answer: 1. Patch test

Explanation: It refers to the non specific false positive patch test positive reactions when the test is done during active dermatitis. It is also called Excited skin syndrome.